False statement regarding suction and evacuation:
1. Prior vaginal examination
2. Perform Ultrasound, if there is doubt about the gestational age
3. Administer general anaesthesia to the patient
4. Tip of cannula is to placed in the middle of the uterine cavity

Correct answer: 3. Administer general anaesthesia to the patient

Explanation: Ans. C: Administer general anaesthesia to the patient General anaesthesia is usually not needed in suction evacuation. If the patient is apprehensive, I/V diazepam 5-10 mg (conscious sedation) supplemented by paracervical block is quite effective